Which are segments of upper lobe of right lung ?
1. Anterior, posterior, medial
2. lateral,medial,superior
3. Apical, anterior, posterior
4. Basal, medial, lateral

Correct answer: 3. Apical, anterior, posterior

Explanation: Right upper lobe segments-apical,posterior,anterior B D CHAURASIA'S HUMAN ANATOMY UPPER LIMB THORAX-VOLUME1 SIXTH EDITION,Page no-241